Silver tatoo is due to
1. deposition of Ag Amalgam in Mucosa
2. deposition of Ag Amalgam in Bone
3. deposition of Ag Amalgam in Dentin
4. deposition of Ag Amalgam in Enamel

Correct answer: 1. deposition of Ag Amalgam in Mucosa